In pregnancy
1. Radioiodine contraindicated
2. Thiouracil is contraindicated
3. Surgery is contraindicated
4. None

Correct answer: 1. Radioiodine contraindicated